The advent of refrigeration, that has revolutionized food preservation, has dramatically reduced the incidence of which of the following cancers?
1. Esophagus
2. Stomach
3. Colon
4. Oropharyngeal malignancies

Correct answer: 2. Stomach

Explanation: Ans. b. Stomach (Ref: Sabiston 19/e p1204-1206; Schwartz 9/e p928: Bailey 25/e p1067: Schackelford 7/e p774)'The incidence of stomach cancer has decreased dramatically since the early 20th century in countries where refrigeration has replaced other methods of food preservation such as salting, smoking, and pickling. Stomach cancer rates remain high in countries where these processes are still used extensively.' style="font-size: 1.04761904761905em; font-family: Times New Roman, Times, serif">stomach-cancer'There is consistent evidence that the risk of gastric cancer is decreased by the presence of a home refrigerator.'- Gastrointestinal Oncology/262Factors Associated with Increased Risk of Developing Stomach CancerNutritionalMedical* Low fat or protein consumptionQ* Salted meatQ* High nitrate consumptionQ* High complex-carbohydrate consumptionQ* Prior gastric surgeryQ* H. pyloriQ infection* Epstein-Barr virusQ* Gastric atrophy and gastritisQ* Adenomatous polypsQ* Male genderQSocialOccupational* Low social classQ* Rubber workersQ* Coal workersQEnvironmentalGenetic factors* Poor food preparation (smoked, salted)Q* Lack of refrigerationQ* Poor drinking water (well water)Q* SmokingQ* Blood group 'A'Q* Pernicious anemiaQ* Family history* Hereditary nonpolyposis colon cancerQ* Li-Fraumeni syndromeQDecrease risk of carcinoma stomach: Aspirin, Diet (high fresh fruit and vegetable intake). Vitamin A and C, calcium, selenium, zinc and ironQ.Alcohol is not a risk factor tor CA stomachQ.